Multifactorial inheritance is most likely to play a role in ?
1. Cleft lip
2. Marfan's syndrome
3. Down's syndrome
4. Erythroblastosis fetalis

Correct answer: 1. Cleft lip

Explanation: Ans. is 'a' i.e., Cleft lip Disorders with multifactorial inheritance The multifactorial disorders result from the combined actions of environmental influences and two or more mutant genes having additive effects. Multifactorial disorders are ? 1. Cleft lip/cleft palate 3. Coronary heart disease 5. Diabetes melitus 7. Pyloric stenosis 2. Congenital heart diseases 4. Hypertension 6. Gout